Hunt Hess scale is used to grade manifestations of -
1. Subarachnoid hemorrhage
2. Meningioma
3. Hydrocephalus
4. Tuberculous meningitis

Correct answer: 1. Subarachnoid hemorrhage

Explanation: Ans. is 'a' i.e., Subarachnoid hemorrhage Subarachnoid hemorrhage:* The clinical state of a patient suffering from subarachnoid hemorrhage is highly predictive of the therapeutic outcome.* A grading system has therefore been developed to document the severity of patient's disease in order to guide therapy and prognostication.* The initial clinical manifestations of SAH are graded using the Hunt-Hess or World Federation of Neurosurgical Societies classification schemes.Grading Scales for Subarachnoid HemorrhageGradeHunt-Hess SealsWorld Federation of Neurosurgical Societies (WFNS) Scale1.Mild headache, normal mental status, no cranial nerve or motor findingsGCS* score 15, no motor deficits2.Severe headache, normal mental status, may have cranial nerve dirficitGCS score 13-14, no motor deficits3.Somnolent, confused, may have cranial nerve or mild motor deficitGCS score 13-14 with motor deficits4.Stupor, moderate to severe motor deficit, may have intermittent reflex posturingGCS score 7-12 with or without motor deficits5.Coma, reflex posturing or flaccidGCS score 3-6, with or without motor deficits